A Lower Segment Caesarean section (LSCS) can be carried out under all the following techniques of anaesthesia except:
1. General anaesthesia
2. Spinal anaesthesia
3. Caudal anaesthesia.
4. Combined Spinal Epidural anaesthesia

Correct answer: 3. Caudal anaesthesia.

Explanation: C i.e. Caudal anesthesia Caudal anaesthesia is used for perineal operations. It is unpopular for LSCS (lower segment caesarian section) because of the risk of introducing needle passing through mother's sacrum and rectum into fetal presenting parts.Q